Injury to the male urethra below the perineal membrane causes urine to accumulate in :
1. Superficial perineal pouch
2. Deep perinea] pouch
3. Space of retzius
4. Pouch of douglas

Correct answer: 1. Superficial perineal pouch

Explanation: A i.e., Superficial perineal pouch Urethral injury causes accumulation of urine in pelvic extraperitoneal tissue (above perineal membrane type) or in superficial perineal pouch (below perineal membrane type injury).